Dystrophic calcification is seen in :
1. Rickets.
2. Hyperparathyroidism.
3. Atheromatous plaque.
4. Vitamin 'A' intoxication

Correct answer: 3. Atheromatous plaque.

Explanation: . Atheromatous plaque.